Folic acid metabolism is inhibited by :  a) Sulfonamides b) Methotrexate c) Nitrous oxide d) Trimethoprim e) 5–Flucytosine
1. acd
2. abd
3. bde
4. ace

Correct answer: 2. abd